A 12-year-old child presents with fever and cervical lymphadenopathy. Oral examination shows a grey membrane on the right tonsil extending to the anterior pillar. Which of the following medium will be ideal for the culture of the throat swab for a rapid identification of the pathogen
1. Nutrient agar
2. Blood agar
3. Loffler's serum slope
4. Lowenstein Jensen medium

Correct answer: 3. Loffler's serum slope

Explanation: The symptoms and grey membrane over the right tonsil is suggestive of infection with Corynebacterium diphtheriae. To confirm the diagnosis culture of the throat swab on Loeffler's serum slope or Tellurite blood agar can be done. Loeffler's serum slope: Growth is rapid on Loeffler's serum slope. The colonies can be seen in 6-8 hours, long before other bacteria grow. Colonies are first small, circular white opaque discs but enlarge on continued incubation and may acquire a distinctly yellow tint. Reference: Textbook of Microbiology; Anathanarayan and panicker's; 10th edition; Page no: 242